The treatment of gall stone ileus is
1. Cholecystectomy alone
2. Removal of obstruction
3. Cholecystectomy, closure of fistula and removal of stone by enterotomy
4. Cholecystectomy with closure of fistula

Correct answer: 2. Removal of obstruction